Which of the following is not a myeloproliferative disease -
1. Polycythemia vera
2. Acute myeloid leukemia
3. Chronic myelogenous leukemia
4. Essential thrombocytosis

Correct answer: 2. Acute myeloid leukemia

Explanation: The common pathogenic features of myeloproliferative disorders is the presence of mutated, constitutively activated tyrosine kinases or other acquired aberrations in signalling pathways that lead to growth factor independence. It includes CML,POLYCYTHEMIA VERA,ESSENTIAL THROMBOCYTOSIS,primary myelofibrosis. AML is a tumour of haematopoetic progenitors caused by acquired oncogenic mutation that impede differentiation leading to accumulation of immature myeloid blasts in the marrow. Reference :Robbins and Cotran Pathologic basis of disease.South Asia Edition-9 volume 1.page no. 610,616-620